Alkalinization of urine is done in which of the following drug poisoning?
1. Amphetamine
2. Morphine
3. Phenobarbitone
4. Digoxin

Correct answer: 3. Phenobarbitone

Explanation: C i.e. Phenobarbitone